Highest amount of saturated fatty acid is seen in ?
1. Soyabean oil
2. Groundnut oil
3. Palm oil
4. Sunflower oil

Correct answer: 3. Palm oil

Explanation: Ans. is 'c' i.e., Palm oil Fatty- acids On the basis of presence or absence of double bond fatty acids are divided into :- 1.Saturated fatty acids Have no double bond. Examples --* Palmitie acid, lauric acid, stearic acid 2. Unsaturated fatty acids Have one or more double bonds i) Monounsaturated (Have single double bond) Oleic acid ii) Polyunsaturated (Have more than one double bonds) --) Linoleic acid. Linolenic acid,,4rachidonic acid, Eicosapentaenoic acid, Docosahexaenoic acid. Coming to question o Polyunsaturated are mostly found in Vegetal* oils and the saturated fatty acids mainly in animal fats. Q However, there are exceptions, as jOr example, coconut and palm oils, although vegetable oils, have on extremly high percentage of saturated acids on the other hand, fish oils, although they are not vegetable oils, contain poly and mono-unsaturated fatty acids.